Most common cardiac involvement in Rheumatoid arthritis is
1. Conduction defects
2. Pericarditis
3. Myocarditis
4. Infective Endocarditis

Correct answer: 2. Pericarditis

Explanation: (B) Pericarditis # CARDIAC COMPLICATIONS OF RHEUMATOID ARTHRITIS> Pericarditis: Asymptomatic. One-third of patients with seropositive RA.> Myocarditis.> Endocarditis.> Conduction defects.> Coronary vasculitis.> Granulomatous aortitis.